Which of the following drugs has been found to be useful in acute severe asthma
1. Magnesium sulphate
2. Anti-leukotriene
3. Cromolymln sodium
4. Cyclosporine

Correct answer: 1. Magnesium sulphate

Explanation: Magnesium sulphate by Iv or inhalation route has been used for the treatment big acute severe asthma All other drugs mentioned in the options are used for prophylaxis of asthma Refer Harrison 17/e p 1605